Optical transmission through a solution depends on:
1. Time
2. Concentration
3. Scale
4. None

Correct answer: 2. Concentration

Explanation: B i.e. Concentration